Which of the following type of RNA is involved in splicing?
1. mRNA
2. sn RNA
3. r RNA
4. t RNA

Correct answer: 2. sn RNA

Explanation: snRNA is involved in RNA splicing i.e removal of introns from hnRNA, regulation of transcription factors or RNA polymerase II and in the maintenance of telomeres. snRNA is a class of small RNA molecules that are found within the nucleus of eukaryotic cells. They are transcribed by RNA polymerase II or RNA polymerase III. Ref: Maternal, Fetal and Neonatal Physiology: A Clinical Perspective By Susan Tucker Blackburn, Page 5; Essentials of Pathophysiology: Concepts of Altered Health States By Carol Mattson Poh, Page 93